Viscera forms wall of which henna
1. Lumbar hernia
2. Sliding hernia
3. Epigastric hernia
4. Femoral hernia

Correct answer: 2. Sliding hernia

Explanation: Ans. is 'b' i.e. sliding hernia